Confabulation is:
1. A state of confusion where patient is not able to describe the details
2. Purposefully fabricating stories to project a certain image
3. Filling up to gaps by fabrication to cover lapses in memory
4. Seen in delirium

Correct answer: 3. Filling up to gaps by fabrication to cover lapses in memory

Explanation: C i.e. Filling up to gaps by fabrication to cover lapses in memory